Pulpless primary incisor (abscess caused by trauma) in 4
year old patient can be effectively treated by
1. Pulpectomy
2. Extraction
3. 5-minute formocresol pulpotomy
4. 7-day formocresol pulpotomy

Correct answer: 1. Pulpectomy